The term Schizophrenia was coined by:
1. Emil Kraepelin
2. Eugene Bleuler
3. Kurt Schneider
4. Karl Jasper

Correct answer: 2. Eugene Bleuler

Explanation: Ans. B. Eugene BleulerEugene Bleuler: Swiss psychiatrist (1908) Coined 'schizophrenia'Rather than course characterized illness with symptomsPrimary features - the 'four As':* Loosening of Associations* Affective flattening* Autism (autistic thinking-fantasy thinking & behavior- withdrawn)* Ambivalence (inability to take decision)